Treatment of breath holding spells is ?
1. Pyridoxine
2. Zinc
3. Iron
4. Molybdenum

Correct answer: 3. Iron

Explanation: Breath holding spells are reflexive events in which typically there is a provocative agent that causes anger,frustation,or pain and the child starts crying.the crying stops at full expiration when the child becomes apnoec and cyanotic.In somecases the child may loss consciousness and muscle tone and fall.Rare before 6 months of age,peaks at 2 years and abate by 5 years of age. During the episode,pinch the child at the onset of the spell and shouldnot exhibit undue concern or excessively cuddle the child as this reinforces the gain in attention.Iron supplementation(3mg/kg/day)is effective in children with iron defeciency. Ref : ESSENTIAL PEDIATRICS,O.P.GHAI, PG NO:37,7th edition